A graft from an identical twin
1. Allograft
2. Autograf
3. Isograft
4. Xenograft

Correct answer: 3. Isograft

Explanation: Allograft different individual same species Autograft same person Xenograt different species Isograft - identical twins REF : ROBBINS 10TH ED